Incubation period for hepatitis A :
1. 2-6 weeks
2. 12 weeks
3. 8 weeks
4. 10 weeks.

Correct answer: 1. 2-6 weeks